Best sample taken for identification from burnt Body:
1. Hair
2. Bone
3. Teeth
4. Blood

Correct answer: 3. Teeth

Explanation: Identification of burnt bodies Hair: singed Blood: burned Bone: difficult to extract DNA from charred bones Teeth: DNA can be extracted from pulp of the teeth even in a burnt body.